What is true about spigelian hernia
1. It is seen in femoral triangle region
2. Occur only in male
3. It is due to defect in transversus abdominalis muscle and lies in between muscle layers
4. It always contains appendix

Correct answer: 3. It is due to defect in transversus abdominalis muscle and lies in between muscle layers